Mehemmoglobinemia is caused by
1. Prilocarpine
2. Ropivaciane
3. Bupivacaine
4. Procaine

Correct answer: 1. Prilocarpine

Explanation: Refer Katzung 11/e p449. The admistration of large doses of prilocarpine during regional anesthesia may lead to accumulation of the metabolite o-toludine an oxidizing agent capable of converting hemoglobin to methemoglobin